Serious infections can occur when absolute neutrophil count decreases below?
1. Less than 500/ul
2. Less than 800/ul
3. Less than 1000/u
4. less than 2000/ul

Correct answer: 1. Less than 500/ul

Explanation: Ans. (a) Less than 500/ul(Ref: Robbins 9th/pg 583)Serious infections are most likely when the neutrophil count falls below 500 per mm3.